Gas gangrene bacilli is:
1. Facultative anaerobe
2. Obligate anaerobe
3. Facultative aerobe
4. Obligate aerobe

Correct answer: 2. Obligate anaerobe

Explanation: Ans. B i.e. Obligate anaerobe